Fusion of two adjacent teeth by their cementum is called as
1. Fusion
2. Gemination
3. Concrescence
4. None of the above

Correct answer: 3. Concrescence